All of the following are prion associated disease except.
1. Scrapie
2. Kuru
3. Creutzfeldt jakob disease
4. Alzheiemer's disease

Correct answer: 4. Alzheiemer's disease

Explanation: Alzheiemer's disease Ref. Harrison's principles of internal Medicine, (17th ed.) pg. 247 Prior causes the following diseases in human - kuru